A 45-year-old patient complains of pain in throat which is aggravated on swallowing and radiates to the ear and posterior part of tongue. The likely diagnosis is:
1. Sluder's neuralgia
2. Glossopharyngeal neuralgia
3. Disorder of temporomandibular joint
4. Trigeminal neuralgia

Correct answer: 2. Glossopharyngeal neuralgia

Explanation: Glossopharyngeal nerve supplies base of tongue, tonsillar fossa and the ear. In glossopharyngeal neuralgia pain radiates to these areas and is precipitated by swallowing or yawning. It is relieved by anesthetizing the area.